Gene not associated with Diabetes malitus?
1. PPARγ
2. KCNJ11
3. CTLA4
4. PDGF-R

Correct answer: 4. PDGF-R

Explanation: PDGF-R gene is associated with glioma.

Most important Genes associated with the Development of Diabetes Type 1 Diabetes